All of the following are recognised features of Wilson's disease except-
1. Psychological distrubances
2. Increased cerulplasmin levels
3. Increased copper content of liver
4. All

Correct answer: 2. Increased cerulplasmin levels

Explanation: Ans. is `b' i.e., Increased cerulplasmin level Ceruloplasmin level decreases.